Insecticied of choice for sandfly?
1. DDT
2. HCH
3. Malathione
4. Paris green

Correct answer: 1. DDT

Explanation: The insecticide used to control sandflies is a single application of 1 to 2 gm/sq.meter of DDT or 0.25g/sq.meter is found to be effective DDT residue may remain effective for a period of 1-2 years and lindane only for 3 months. Park's Textbook of Preventive and Social Medicine, 25th Edition, Pg 845